Chlymadia trachomatic A-C will cause which of the following?
1. Opthalmia Neonatorum
2. Vernal Kerato conjunctivitis
3. Paratrachoma
4. Trachoma

Correct answer: 4. Trachoma

Explanation: Ans. (d) TrachomaRef: A.K. Khurana 6th ed. /61, 65Trachoma: is a chronic keratoconjunctivitis, primarily affecting the superficial epithelium of conjunctiva and cornea simultaneously.# It is one of the leading causes of preventable blindness in the world.Etiology* Causative organism: caused by Chlamydia trachomatis.* The organism is epitheliotropic and produces intracytoplasmic inclusion bodies called H.P. bodies.* There are 11 identified serotypes of Chlamydia: A,B, Ba, C,D,E,F,G,H,J and K* Serotypes A, B, Ba and C are associated with hyperendemic (blinding) trachoma* Serotypes D-K are associated with paratrachoma.OPHTHALMIA NEONATORUM* Bilateral inflammation of the conjunctiva occurring in an infant, less than 30 days old.Source and Mode of Infection* Before birth: very rare; through infected amniotic fluid in case of ruptured membranes.* During Birth: most common mode of infection; from infected birth canal when the child is born with face presentation or with forceps.* After birth: Infection during first bath of newborn or from infected clothes or hands.Causative Agents* Chemical conjunctivitis: silver nitrate or antibiotics used for prophylaxis.* Gonococcal infection* Neonatal inclusion conjuncitivitis caused by serotypesD to K of Chlamydia trachomatis is the commonest cause of ophthalmia neonatorum.